Central nervous system develops from
1. Endoderm
2. Ectoderm
3. Mesoderm
4. All 3 germ layers

Correct answer: 2. Ectoderm

Explanation: CNS develops from Neuroectoderm.